A 32 year old female starts developing suspicion on her husband of having an affair with his secretory for 2 weeks. Diagnosis is?
1. Illusion
2. Delusion
3. Hallucination
4. Delirium

Correct answer: 2. Delusion

Explanation: Ans is 'b' i.e. Delusion * Above is an example of delusion of infidelity (morbid jealousy, Othello syndrome) i.e. False belief that one's lover has been unfaithful* A delusion is false, firm (unshakeable) belief that is not accepted by other members of patient's culture and society.